The instillation of markers in the large intestine is used to evaluate transit time in the large intestine and diagnose motility disorders. In healthy subjects, dwell-times for instilled markers in the large intestine are greatest in the:
1. Ascending colon
2. Sigmoid colon
3. Descending colon
4. Transverse colon

Correct answer: 4. Transverse colon

Explanation: Ans. D. Transverse colonObservations on the transit of markers after instillation in the human cecum show that the markers remain for the longest time in the transverse colon. Transit is significantly faster in the other parts of the large intestine.